Summit of medial longitudinal arch
1. Calcaneum
2. Talus
3. Navicular
4. Medial Cuneiform

Correct answer: 2. Talus

Explanation: Summit of medial longitudinal arch is Talus.
Summit of lateral longitudinal arch is Calcaneum.